An young boy presents to you with history of breathlessness  on exertion  .You being an intern proceed with auscultation of the patient's chest. Your findings are ejection systolic murmur in the left 2nd intercostal space , S1 is normal and has wide and fixed split S2. You then send the patient for an ECG , what would be the most likely finding in the ECG report?
1. Right axis deviation
2. Left axis deviation
3. Large p waves
4. Absent p waves

Correct answer: 1. Right axis deviation

Explanation: The history given is typical of ASD . It is characterized by right axis deviation and right bundle branch block pattern. 
Left axis deviation can happen if it is osmium primum ASD